Which of the following factors acts as vesicle targeting:
1. Ras
2. Sec 12
3. Rab
4. SNARE

Correct answer: 3. Rab

Explanation: Genes RAS - RAS gene they make RAS protein. they are GTP binding protein They regulate the cell cycle by RAS P 21 gene The mutation of RAS protooncogene is the single-most dominant cause of many human tumors. RAB - RAB is protein of RAS super family. they play role in membrane trafficking, vesicle transport, vesicle fusion and formation SNARE -SNAP receptor,Key molecule in the fusion of vesicle with acceptor membrane t- SNARE: Target SNARE. v-SNARE: Vesicle SNARE. Sec -12 - sec 12 gene make glycoprotein sec 12 this require in transport from endoplasmic reticulum to Golgi apparatus Rab proteins: A family of Ras- related proteins (monomeric GTPases) first observed in rat brain. They are active when GTP is bound. Different Rab molecules dock different vesicles to acceptor membranes.